Which of the following statements is false about Familial polyposis coli?
1. It is autosomal dominant condition leading to multiple polyp formation in colon.
2. There is 100 percent risk of carcinoma in polyps
3. There are hamartomatous polyps which should be atleast 80 polyps for diagnosis
4. Gardner syndrome is colonic polyposis associated with osteomas,fibromatosis & cutaneous cysts

Correct answer: 3. There are hamartomatous polyps which should be atleast 80 polyps for diagnosis

Explanation: Familial Adenomatous polyposis Autosomal dominant Minimum of 100 adenomatous polyps - SUB-TYPES OF FAP: Classical : >= 100 adenomas + Retinal pigment epithelial hypertrophy Turcot syndrome : Classical + CNS tumors Gardner syndrome : Colonic polyposis + Osteoma + Fibromatosis + Epidermal cysts + Dental abnormalities